C4, C5, N7 in purine ring are derived from -
1. Asparate
2. Glutamine
3. Glycine
4. CO2

Correct answer: 3. Glycine

Explanation: Ans. is 'c' i.e., Glycine o In de novo synthesis, purine ring is formed from variety of precursors is assembled on ribose-5-phosphate. Precursors for de novo synthesis are -i) Glycine provides C4, C5 and N7ii) Aspartate provides N1iii) Glutamine provides N3 and N9iv) Tetrahydrofolate derivatives furnish C2 and C8v) Carbon dioxide provides C6Precursors for pyrimidine denovo synthesisi) Glutamine provides N3ii) Aspartic acid furnishes C4, C5, C6 and N1iii) CO2 provides C2